A 45-year-old male patient complains of non-healing oral ulcer since a month over the lateral border of the tongue, on histologic examination abnormal keratinization is seen, what can be the possible diagnosis:
1. BCC
2. SCC.
3. Keratoacanthoma.
4. Erthyroplakia.

Correct answer: 2. SCC.